All are derived from neural crest except ?
1. Adrenal medulla
2. Pigment cell in skin
3. Corneal stroma
4. Retinal pigmented epithelium

Correct answer: 4. Retinal pigmented epithelium

Explanation: Ans. is `d' i.e., Retinal pigmented epithelium Derivatives of neuroectodermi) From neural tube : CNS (brain, spinal cord), astrocytes, oligodendrocytes, ependymal cells, retina, pineal gland, neurohypophysis (posterior pituitary), all cranial and spinal motor nerves.ii) From neural crest : Neural crest derivatives are :?a) Neural derivativesSensory neurons of 5th, 7th, 8th, 9th, 10th cranial nerve ganglia (trigeminal, geniculate, sphenopalatine, submandibular, cochlear, vestibular, otic and vagal parasympathetic ganglia).Sensory neurons of spinal dorsal root ganglia.Sympathetic chain ganglia and plexus (celiac/preaortic/renal ganglia, enteric plexus in GIT, i.e. Auerbachs and Meissner's)Parasympathetic ganglia and plexus of GIT.Schwann cells of peripheral nerves, satellite cells of all ganglia. Adrenal medulla, chromaffin cells, para follicular C-cells of thyroid gland.Melanocytes and melanoblasts.